Enzymatic activity is measured in
1. mg/dl
2. microgram/litre
3. mg/litre
4. mol/second

Correct answer: 4. mol/second

Explanation: Enzyme activity is expressed as micromoles of substrate converted to product per minute under specified assay conditions. One standard unit (or International Unit) of enzyme activity (U) is the amount of enzyme that will convert one micromole of substrate per minute per litre of sample and is abbreviated as U/L.Ref: DM Vasudevan, Page no: 58